Terminal-spined eggs are seen in -
1. Schistosoma haematobium
2. Schistosoma mansoni
3. Schistosoma japonicum
4. Clonorchis sinensis

Correct answer: 1. Schistosoma haematobium